The following is not a type of fracture:
1. Traumatic
2. Pathological
3. Anatomical
4. Stress

Correct answer: 3. Anatomical